In papillary Ca thyroid all are true except
1. Most common thyroid cancer
2. Psammoma bodies seen
3. Not encapsulated
4. Blood borne metastasis is common

Correct answer: 4. Blood borne metastasis is common

Explanation: Most common thyroid cancer (70-80%) Histologically the tumour shows papillary projections (psammoma bodies) and characteristic pale, empty nuclei (Orphan Annie-eyed nuclei). Papillary carcinomas are very seldom encapsulated. Spread to the lymph nodes is common, but blood-borne metastases are unusual unless the tumour is extrathyroidal Source : Bailey and love 26th edition Pg : 765